A patient with 37 weeks of gestation, came to hospital without antenatal check-up and presented with onset of labor. On examination, the mother is hep B positive, what management should be given to neonate?
1. Hep b vaccine only
2. Hep B vaccine+ IG
3. First IG then HEP B vaccine after 1 month
4. Only IG

Correct answer: 2. Hep B vaccine+ IG

Explanation: Infants of HBsAg-positive mothers should receive Hepatitis B immune globulin (HBIG) immunoprophylaxis at bihand Hepatitis B vaccine at one week (HBV),Then one month and six months after birth. Administration of HBV vaccine along with HBIG does not diminish the immunologic response to the vaccine.